"Five clean practices" under strategies for elimination of neonatal tetanus include all except ?
1. Clean surface for delivery
2. Clean hand of the attendant
3. New blade for cutting the cord
4. Clean airway

Correct answer: 4. Clean airway

Explanation: Ans. is 'd' i.e., Clean airway o Neonatal telanus may be controlled to a large extent through clean delivery practicrs alone. Most programmes in developing countries are concentrating on educating traditional birth attendants and pregnant women about the `three cleans' (some times called 5 cleans).